Pacemaker complex of stomach is located in:
1. Fundus
2. Midportion of the body of stomach
3. Pylorus
4. Gastro-duodenal junction

Correct answer: 2. Midportion of the body of stomach

Explanation: Pacemaker complex is located in the wall of the stomach near the midportion of the body of stomach. Co-ordinated contractions of stomach, after the arrival of food, arise in this region of the stomach. These waves,are not action potentials. Instead, they are slow, undulating changes in the resting membrane potential.